The daily dose of folic acid for women of childbearing age is?
1. 4000 micro gm
2. 40 micro gm
3. 0.5 mg
4. 0.4 mg

Correct answer: 4. 0.4 mg

Explanation: ANSWER: (D) 0.4 mgREF: Novak's gynecology 13th edition - page 85"The Centers for Disease Control and Prevention has recommended that women of reproductive age who are capable of becoming pregnant take supplemental folic acid (0.4 mg daily) to help prevent neural tube defects in their infants"